Which of the following is dihydroorotate dehydrogenase inhibitor?
1. Methotrexate
2. Leflunomide
3. Hydroxychloroquine
4. Sulfasalazine

Correct answer: 2. Leflunomide

Explanation: Ans. is 'b' i.e., Leflunomide Important DMARDsMechanism of action* MethotrexateDihydrofolate reductase inhibitor* SulfasalazineSulfapyridine moiety suppresses the generation of superoxide radicals and cytokine production* LeflunomideIs rapidly converted in the body to an active metabolite which inhibits dihydroorotate dehydrogenase.* Hydroxychloroquine* Reduce monocyte IL-1, consequently inhibiting B-cells* Interferes with antigen processing* Stabilizes lysosome and free radical scavenging.